Hurterian chancre seen with syphilis is characterised by all except
1. Painless
2. Indurated
3. Bleeding
4. Shallow ulcer

Correct answer: 3. Bleeding

Explanation: Hunterian chancre is non - bleeding ulcer.